Subdural hematoma is due to rupture of -
1. Middle meningeal artery
2. Saccular berry Anuerysm
3. Communicating veins to superior sagittal sinus
4. Retromandibuar vein

Correct answer: 3. Communicating veins to superior sagittal sinus

Explanation: Ans. is 'c'i.e., Communicating veins to superior sagittal sinus Chronic Subdural hematomao Accumalation of blood in the subdural spaceo It occurs mainly in elderly patients with some degree of cerebral atrophy.o The amount of trauma required is minimal.o Bleeding is the result of rupture of communicating veins passing from the cerebral cortex to the superior saggital sinus. Rupture occurs when there is movement of the brain relative to the fixed superior saggital sinus and is most likely when cerebral atrophy is presento Clinical course is slow (over days to month).# Pt. presents with slowly increasing intracranial pressure, causing headache, vomitting, papilledema and fluctuating levels of consciousness.# Compression of the underlying brain may cause focal epileptic convulsions and neurological symptoms, most commonly contralateral spastic paralysis with prolonged but less severe compression, atrophy of the brain occurs and cause dementia.o Treatment is by surgical evacuation of the subdural collection.